A 7 years old boy presented with painful boggy swelling of scalp, multiple sinuses with purulent discharge, easily pluckable hairs and lymph nodes enlarged in occipital region. Which one of the following would be most helpful for diagnostic evaluation?
1. Bacterial culture
2. Biopsy
3. KOH mount
4. Patch test

Correct answer: 3. KOH mount

Explanation: Ans. c. KOH mount